Gamma radiations are used for sterilizing -(
1. Syringes
2. Cystoscopes
3. Dressing aprons
4. Metal instruments

Correct answer: 1. Syringes

Explanation: Ans. is 'a' i.e., Syringes